Most common site of intracranial metastasis is from primary carcinoma of
1. Breast
2. Lungs
3. Stomach
4. Testes

Correct answer: 2. Lungs

Explanation: MC brain tumor is metastasis,arising from - (1) Oat cell Ca lung/small cell Ca lung (2) Ca Breast (3) M. Melanoma MC 1deg Brain tumour- Glioma MC benign brain tumour - Meningioma